A woman complains of headache associated with paresthesias of the right upper and lower limb: likely diagnosis is:
1. Trigeminal neuralgia
2. Glossopharyngeal neuralgia
3. Migraine
4. Cluster headache

Correct answer: 3. Migraine

Explanation: Answer is C (Migraine) :